Most common visceral artery aneurysm is:
1. Hepatic artery
2. Splenic artery
3. Gastric artery
4. None of the above

Correct answer: 2. Splenic artery

Explanation: Although splenic artery aneurysm is rare, it is the most common visceral artery aneurysm. Ref: Schwartz's principle of surgery 9th edition, chapter 34.